Peripheral blood smear examination of a post splenectomy patient would show the presence of:
1. Dohle bodies
2. Hypersegmented neutrophils
3. Spherocytes
4. Howell-Jolly bodies

Correct answer: 4. Howell-Jolly bodies

Explanation: In the absence of a functional spleen, nuclear remnants are not culled from the red cells and remain as small homogeneously staining blue inclusions, known as Howell-Jolly bodies. Dohle bodies are light blue-gray, oval, inclusions located in the peripheral cytoplasm of neutrophils seen in infections, burns physical truma etc. Sphere-shaped red blood cells are known as spherocytes. Spherocytes are found in hereditary spherocytosis and autoimmune hemolytic anemia. Hypersegmented neutrophils are seen in vitamin B12 deficiency. Ref: Harrisons principles of internal medicine, 18th edition, chapter: 57